Ulcus serpens is caused by-
1. Pseudomonas pyocynaeceous
2. Pneumoeoccus
3. Corynebacteria
4. Gonorrhoea niesseria

Correct answer: 2. Pneumoeoccus

Explanation: The characteristic hypopyon corneal ulcer caused by Pneumococcus is called 'ulcus serpens'. Reference:Comprehensive Ophthalmology,AK Khurana,6th edition,pg no.102